True about yellow fever -
1. I.P is 10-14 days
2. Transmitted by Aedes
3. It is found in Asia
4. Incidence is increased by humidity

Correct answer: 2. Transmitted by Aedes

Explanation: YELLOW FEVER:- Zoonoses disease caused by arbovirus. Affects principally monkeys and other vertebrates and is transmitted to humans by culicine mosquitoes. Reservoir- mokeys and forest mosquitoes., in urban areas reservoir is man besides Aedes aegypti. A temperature of 24 deg celcius or more required for its multiplication. Period of communicability- Blood of patients infective upto first 3-4 days {Reference: park's textbook of preventive and social medicine, 23rd edition, pg no.282}